Thrombosthenin is:
1. Coagulation factor
2. Contractile protein
3. A thrombosis promoting protein
4. A protein regulating platelet production

Correct answer: 2. Contractile protein

Explanation: Thrombosthenin, platelet contractile proteins contract and help in clot retraction 48 hours after injury. the contractile protein of platelets is, responsible for clot retraction , platelet aggregation, and release of ADP and other biologic amines essential to platelet function.